Oxygen dissociation curve shifts to right in:
1. Hyperkalemia
2. Hypokalemia
3. Metabolic alkalosis
4. Anemia

Correct answer: 4. Anemia

Explanation: Anemia